All are uses of metronidazole except -
1. Amoebiasis
2. Giardiasis
3. Trichomonas vaginitis
4. Malaria

Correct answer: 4. Malaria

Explanation: Ans. is 'd' i.e.. Malaria Metronidazoleo It has broad spectrum antiprotozoal activity against trichomonas. E. histolytica and G. lamblia.o It is also active against many anaerobic bacteria,o It does not affect aerobic bacteria.o It acts by inhibiting pyruvate : Ferredoxin oxidoreductase (PFOR) enzyme pathway of pyruvate oxidation in anaerobes.o In protozoa the mechanism of action is different i.e. damage to DNA.o Metronidazole is a nitroimdazole; nitro group is activated by reduction to form reactive cytotoxic product that damages the DMA.o It inhibit cell mediated immunity to induce mutagenesis and causes radiosensitization,o Uses1. Amoebiasis2. Giardiasis3. Trichomonas vaginitis4. Anaerobic bacterial infection5. Pseudomembranous enterocolitis.6. Ulcerative gingivitis, trench mouth.7. H. pylori gastritis, peptic ulcer.